Following are polar amino acids, except:
1. Isoleucine
2. Serine
3. Arginine
4. Histidine

Correct answer: 1. Isoleucine

Explanation: Isoleucine